Which is the shortest acting mydriatic-
1. Atropine
2. Tropicamide
3. Cyclopentaolate
4. Homatropine

Correct answer: 2. Tropicamide

Explanation: Ans. is 'b' i.e., Tropicamide o Tropicamide has quickest and briefest action amongst the anticholinergic mydriatics. o It is unreliable cycloplegic.